Histone has post - translational modification by all/except.
1. Acylation
2. Methylation
3. Phosphorylation
4. Glycosylation

Correct answer: 4. Glycosylation

Explanation: D i.e. Glycosylation